Milk teeth total number in human being
1. 20
2. 28
3. 32
4. 24

Correct answer: 1. 20

Explanation: Milk teeth: Dental formula in children is 2,1,0,2. That is in one half of each jaw 2 incisors 1 canine 0 premolars 2 molars As there are 4 half's , 5x4= 20. There are 20 milk teeth. Ref : Ghai ,9th edition, chapter 2